Sensory innervation of cornea is by nerve
1. 3rd
2. 4th
3. 5th
4. 6th

Correct answer: 3. 5th

Explanation: The trigeminal nerve (V) - Three Divisions V1: Ophthalmic nerve V2: Maxillary nerve V3: Mandibular nerve Ophthalmic nerve division Ophthalmic nerve is sensory. Its branches are: Frontal nerve 1. Supratrochlear: upper eyelid, conjunctiva, lower part of forehead. 2. Supraorbital: frontal air sinus, upper eyelid, forehead, scalp till vertex. Nasociliary nerve 1. Posterior ethmoidal: sphenoidal air sinus, posterior ethmoidal air sinuses. 2. Long ciliary: sensory to eyeball. 3. Branch to ciliary ganglion 4. Infratrochlear: both eyelid, side of nose, lacrimal sac. 5. Anterior Ethmoidal: a). Middle and anterior ethmoidal sinuses. b). Medial internal nasal c). Lateral internal nasal d). external nasal: skin of ala of vestibule and tip of nose, Lacrimal nerve Lateral part of upper eyelid: conveys secretomotor fibers from zygomatic nerve to lacrimal gland.